Bilateral carcinoma breast is common in which of the following type
1. Inflammatory
2. Lobular
3. Scirrhous
4. Colloid

Correct answer: 2. Lobular

Explanation: Ref - Srb's manual of surgery 5e p529,530